Germ tube test is diagnostic for:
1. Candida albicans
2. Cryptococcus neoformans
3. Histoplasma capsulum
4. Coccidioidomycosis

Correct answer: 1. Candida albicans

Explanation: Ans. a. Candida albicans